Which of the followng parameters is not monitored in a patient on methotrexate therapy?
1. Liver function tests
2. Lung function test
3. Eye examination
4. Hemogram

Correct answer: 3. Eye examination

Explanation: Ans. is 'c' i.e., Eye examination If you know the adverse effects of methotrexate, you can easily understand the investigations which are required in patients taking methotrexate. Adverse effects of methotrexate o Hematological toxicity: Myelosuppression, megaloblastic anemia and pancytopenia. So, hemogram is required. Organ toxicity: Nephrotoxicity (renal function test), Liver toxicity (Liver function test), Pulmonary toxicity (Pulmonary function test) and Neurotoxicity (with intrathecal administration). Nodulosis, oral ulceration, GI upsets, and photosensitivity.